True about transfer of electrons in electron transport chain is ?
1. All the complexes are arranged in an increasing order of redox potential
2. The direction of transport of electrons in Complex I ->CRT - Complex III Q - Complex IV
3. All the complexes are arranged in an increasing order of energy
4. 10 hydrogen ions get translocated when FADH2 electrons get into electron transport chain

Correct answer: 1. All the complexes are arranged in an increasing order of redox potential

Explanation: Ans. is 'a' i.e., All the complexes are arranged in an increasing order of redox potential*The complexes of electron transport chain are arranged in an increasing order of redox potential or decreasing order of energy level.The direction of transport of electrons from NADH is Complex I -) Q Complex III -) Complex CRT -> Complex IV Oxygen.The direction of transport of electrons from FADH2 is Complexx II Q Complex III - Complex CRT -) Complex IV - Oxygen.